Which of the following is true regarding mallet finger?
1. Also known as Badminton finger
2. Rupture of extensor tendon
3. Contraction deformity of flexor tendon
4. Treatment is Open reduction and internal fixation

Correct answer: 2. Rupture of extensor tendon

Explanation: Ans. is 'b' i.e., Rupture of extensor tendon * Mallet finger Has been explained in previous sessions